A 35 years old hypermetrope is using 1.50 D sphere both eyes. Whenever his glasses slip downward on his nose he will feel that his near vision :
1. Becomes enlarged
2. Becomes distorted
3. Becomes decreased
4. Remains the same

Correct answer: 1. Becomes enlarged

Explanation: A i.e. Becomes enlarged Have you seen a hypermetropic or presbyopic patient increasing the distance of his spectacles (convex lens) from eyes by slipping the glasses downwards on his nose to make his near vision clear by enlarging the image.